"Window" of the limbic system through which it sees the external world is:
1. Hypothalamus
2. Amygdala
3. Hippocampus
4. Thalamus

Correct answer: 2. Amygdala

Explanation: Amygdala has been called the "window" through which the limbic system sees the place of the person in the world because it receives neuronal signals from all portions of the limbic cortex, as well as from the neocortex of the temporal, parietal, and occipital lobes, especially from the auditory and visual association areas.